Commonest cause of deafness is -
1. Trauma
2. Wax
3. Acute mastoiditis
4. Meniere's disease

Correct answer: 2. Wax